Danazol is a/an:-
1. Anabolic steroid
2. Androgen agonist
3. Anti-androgen
4. 5-alpha-reductase inhibitor

Correct answer: 2. Androgen agonist

Explanation: Danazol It is a compound with weak androgenic, progestational and glucocorticoid activities. It decreases the secretion of gonadotropins from the pituitary by causing feedback inhibition. Its major use is in the treatment of endometriosis. Weight gain, edema, acne, increased hair growth, hot flushes and changes in libido are the major adverse effects of this drug. It can also produce mild to moderate hepatocellular damage.